A patient is able to recognise a person by name but not face. The lesion, in this case, is in
1. Frontal lobe
2. Occipital lobe
3. Post parietal region
4. Temporal lobe

Correct answer: 4. Temporal lobe

Explanation: This condition is prosopagnosia, which occurs in the lesions of the inferior temporal lobe. In humans, storage and recognition of faces are more strongly represented in the right inferior temporal lobe in right-handed individuals (i.e., non-dominant inferior temporal lobe) Damage to this area can cause prosopagnosia, the inability to recognise faces. Patients with this abnormality can recognise people by seeing their faces. The left hemispheres is also involved, but the role of te right hemisphere is primary. Ref : Ganong's Review of Medical Physiology 25th edition Pgno: 293